Neuromuscular preserving flap in lip:-
1. Abbe flap
2. Webster flap
3. Karpandzic flap
4. Johansen flap

Correct answer: 3. Karpandzic flap

Explanation: Neuromuscular preserving flap in lip is Karpandzic flap. LIP RECONSTRUCTION Cross-lip Flaps Circumoral Advancement Flaps Lip-Switch (Abbe-Estlander) flapQ used to repair defects of either upper or lower lip, based on superior labial arteryQ Karapandzic flapQ: Uses a sensate, neuromuscular flap based on labial arteryQ. Webster-Bernard repairQ: Use lateral nasolabial flap with buccal advancement